29 years female, G2 P1A1 with 16 weeks amenorrhoea, lower abdominal pain and vaginal bleeding, ultrasonography shows snow storm appearance. What is the most feasible method of treatment-
1. Misoprostol administration
2. Hysterectomy
3. Mifepristone
4. Suction evacuation.

Correct answer: 4. Suction evacuation.

Explanation: Ans. is 'd' i.e., Suction evacuation o 29 yrs female with amenorrohea of 16 weeks with lower abdominal pain and vaginal bleeding and snow storm appearance on usg gives us a diagnosis of kydatidiform mole.o The most preferred definitive treatment in case of hvdatidiform mole in almost all cases is suction evacuation.It can be easily done upto 28 weeks of gestation.In favourable cervix suction evacuation is done with a negative pressure of200 - 250 mm Hg. F the cervix is closed prior dilatation is followed by suction and evacuation.